The following statements are related to obstetric inversion:
1. It is usually insidious in onset
2. It is usually acute
3. It is usually incomplete
4. In majority, it is spontaneous in nature

Correct answer: 2. It is usually acute

Explanation: Uterine inversion is a condition in which there is inside out turning of the uterus.
It is a rare cause of postpartum collapse but collapse occurs suddenly after labour.
It is acute in onset.
Mostly uterine inversion is complete i.e. of third degree
Most common cause of uterine inversion is mismanagement of the third stage of labour
Spontaneous inversion can occur with an atonic uterus (in 40% cases).
Placenta accreta is a rare cause of uterine inversion.